Queckenstedt test is done for
1. Glomus tumor
2. CSF rhinorrhea
3. Otosclerosis
4. Acoustic neuroma

Correct answer: 2. CSF rhinorrhea

Explanation: Drainage of CSF in some cases may often be elicited on endoscopy by having the patient perform a Valsalva maneuver or by compressing both jugular veins (Queckenstedt-Stookeytest) Ref : internet sources